All are important ultrasound findings of amebic liver abscess, EXCEPT:
1. Single lesion
2. Hypoechoic with irregular ill defined margins initially
3. Located in the left hepatic lobe
4. Round or oval in shape

Correct answer: 3. Located in the left hepatic lobe

Explanation: Amebic liver abscess on Ultrasound Typically single Located in the right hepatic lobe near the surface of the organ. Round or oval in shape. Hypoechogenic, with initially irregular and ill-defined margins (first 4-5 days Progressive colliquation of necrotic material, the lesion assumes a homogeneous hypoechoic pattern, with regular, well-defined margins Ref:Ultrasound of parasitic disease , 20.11.2012 11:05